Risk factors for skin cancer are all Except
1. Solid organ transplantation and chronic immunosuppression
2. Blonde hair and blue or green eyes
3. Use of tanning beds, outdoor occupation/sunexposure
4. Use of sunscreen lotions

Correct answer: 4. Use of sunscreen lotions

Explanation: There is a dose-response relationship between tanning bed use and the incidence of skin cancer. As few as four tanning bed visits per year confers a 15% increase in BCC and 11 % increase in SCC and melanoma. Tanning bed use as a teenager or young adult confers greater risk than comparable exposure in older individuals. Other associations include blond or red hair, blue or green eyes, a tendency to sunburn easily, and an outdoor occupation Solid organ transplant recipients are at increased risk for cutaneous malignancies (most commonly squamous cell carcinoma), a finding related to long-term immunosuppression.A dermatologic consultation is recommended before transplantation for the screening and treatment of skin cancer and precursor lesions. Fair complexion: Having a fair complexion raises your risk for developing a skin cancer. Fair complexion is defined as having red or blonde hair, blue or green eyes and skin that easily freckle or sunburns. If you have a weakened immune system you are at a higher risk. sunscreen is proven to: Decrease your risk of skin cancers and skin precancers. Regular daily use of SPF 15 sunscreen can reduce your risk of developing squamous cell carcinoma (SCC) by about 40 percent, and lower your melanoma risk by 50 percent. Reference: Harrisons textbook of internal medicine; 19th edition 1327.